DOC for hyperthyroidism in pregnancy:
1. Propylthiouracil
2. Methimazole
3. I-131
4. Thyroxine

Correct answer: 1. Propylthiouracil

Explanation: Ans. (a) PropylthiouracilRef DC Dutta 7th ed./ 287; Harrison's 19th ed./ 2297* For the hyperthyroidism during pregnancy the mainstay of treatment in 1st trimester is PTU or methimazole.* Methimazole is preferable avoided during first trimester of pregnancy if PTU is available.* Methimazole and carbimazole is avoided due to fetal aplasia cutis and other defects such as choanal atresia.* Because of its rare association with hepatotoxicity, propylthiouracil should be limited to the first trimester and then maternal therapy should be converted to methimazole (or carbimazole).